Prognosis of portocaval shunt depends on all Except -
1. Serum bilirubin
2. Serum albumin
3. Refractory ascites
4. Type of shunt

Correct answer: 4. Type of shunt

Explanation: Originally used to assess mortality related to porto-systemic shunts, the Child's score also predicts mortality in patients with cirrhosis after hepatic resection"- CSDT Prognosis of portocaval shunt depends on Child's criteria Child's Criteria: Serum bilirubin Serum albumin Ascites - (Presence & degree of ascites) Neurological disorder Prothrombin time Ref : CSDT 13/e p513 (12/e p543); Baily & love, 22/e, p717